Linitus plastica is type of -
1. Gall bladder cancer
2. Stomach cancer
3. Pancreatic cancer
4. Renal cell cancer

Correct answer: 2. Stomach cancer

Explanation: Ans. is 'b' i.e., Stomach cancer Stomach cancero Ca stomach may be divided into five morphological subtypes, that correlate loosely with the natural history and outcome.Ulcerating CaPolypoidal CaSuperficial spreading CaAlso known as early gastric cancer, superficial ca is confined to mucosa and submucosa. These cancers have excellent prognosis (-90% 5 year survival rate) after resection4 Linttis plastica or Scirrhous CaThese tumors infiltrate the entire thickness of the stomach and cover a very large surface area, commonly involve the entire stomach. Marked desmoplastic reaction is noted, the stomach looses its pliability.It has the worst prognosis of all types as spread is early.5. Advanced carcinomaThis largest category' contains the big tumors that are found partly within and partly outside the stomach.They may originally have qualified for inclusion in one of the preceding groups but have outgrown that early stage.